Abnormalities of copper metabolism are implicated in the pathogenesis of all the following ExceptEXPL
1. Wilson's disease
2. Menkes Kinky-hair syndrome
3. Indian childhood cirrhosis
4. Keshan disease

Correct answer: 4. Keshan disease

Explanation: (Refer: Nelson's Textbook of Pediatrics, SAE, 1st edition, pg no. 344)